Which needle is used for pleural biopsy?
1. Vivian Silvermann's
2. Abram' s
3. Abraham's
4. Osgood' s

Correct answer: 2. Abram' s

Explanation: Ans. is 'b' i.e., Abram's